On examination of the ear of a patient you observe that the left ear tympanic membrane is reddish, immobile and bulging whilst the right ear tympanic membrane is white, mobile and translucent these findings suggest:
1. Right ear normal with left AOM
2. Left ear normal with right AOM
3. Bilateral ear normal
4. Bilateral AOM

Correct answer: 1. Right ear normal with left AOM

Explanation: (Refer: PL Dhingra, Textbook of Ear, Nose, Throat, 6th edition, pg no: 69)
Left ear TM – Reddish, immobile and bulging suggestive of left ear with acute otitis media
Right ear TM – White, mobile and translucent suggestive of normal right ear